Most common site of eosinophilic granuloma -
1. Radius
2. Femur
3. Skull
4. Lumbar vertebrae

Correct answer: 3. Skull